Number of holes in mosquito net (per sq. Inch) -
1. 50
2. 150
3. 100
4. 200

Correct answer: 2. 150

Explanation: The mosquito net: It offers protection against mosquito bites during sleep. The material of the net must be white. The size of openings should not exceed 0.0475 inches in any diameter. The number of holes in one square inch is 150. Other protective measures against mosquito bites are screening and repellants Park's Textbook of Preventive and Social Medicine, 25th Edition, Pg 833